Yolk muscle pair is -
1. Rt MR & Rt LR
2. Rt MR & Lt LR
3. Rt SO & Lt IO
4. Rt SR & Lt SR

Correct answer: 2. Rt MR & Lt LR

Explanation: Ans. is 'b' i.e., Rt MR & Lt LR o Yoke muscles (contralateral synergists) refers to the pair of muscles (one from each eye) which contract simultaneously during version movements. For example, right lateral rectus and left medial rectus act as yoke muscles for dextroversion movements. Other pair of yoke mscles are: right MR and left LR, right LR and Left MR, right SR and left 10, right IR and left SO, right SO ad left IR, and right 10 and Left SR.